Suntentaculum tali is present on
1. Talus
2. Navicular
3. Calcaneus
4. Cuneiform

Correct answer: 3. Calcaneus

Explanation: Sustentaculum tali is a bony projection present on Calcaneus, on medial surface.